All are features of scleroderma except?
1. Decrease in tone of LES
2. Restrictive cardiomyopathy
3. Syndactyly
4. Halitosis

Correct answer: 3. Syndactyly

Explanation: * Syndactyly is a condition wherein two or more digits are fused together. Scleroderma has sclerodactyly characterized by pitting scars present in tips of fingers. * Scleroderma leads to fibrosis in LES leading to decrease in tone of LES and resultant GERD. * The progressive fibrosis can involve the heart leading to restrictive cardiomyopathy and development of kussmaul sign. * The fibrosis of minor salivary glands reduces saliva production. Since saliva has bactericidal activity the resultant reduction in saliva production leads to halitosis.